Artery palpable at the anterior border of masseter is....artery:
1. Superficial temporal
2. Facial
3. Lingual
4. Maxillary

Correct answer: 2. Facial

Explanation: B i.e. Facial Facial artery is an anterior branch of external carotid artery, which can be palpated at the anterior border of messeter muscle, over the inferior border of mandible.